Late-onset endophthalmitis after lens implantation is caused by –
1. Staphylococcus epidermidis
2. Pseudomonas
3. Streptococcus pyogenes
4. Propionibacterium acne

Correct answer: 4. Propionibacterium acne

Explanation: "Fungal infection and propionibacterium acne are the most likely organisms of endophthahnitis. Occurring several Weeks or months after cataract surgery".
- Parson's